Most surgeries are performed in which stage of general anesthesia?
1. 1
2. 2
3. 3
4. 4

Correct answer: 3. 3

Explanation: Ans. is 'c' i.e., 3 * Stage 3 of general anesthesia is known as the stage of surgical anesthesia as most of the surgeries are performed in this stage.Stages of anaesthesia* Guedel described four stages of ether anaesthesia dividing the Illrd stage into 4 planes.1. Stage 1 (Stage of analgesia): - It extends from beginning of anesthetic inhalation to the loss of consciousness.2. Stage 2 (Stage of delirium or excitement): - From the loss of consciousness to beginning of regular respiration. There is roving eye ball (maximum movement of eye). Pupil is partially dilated. Eye lash reflex is lost - First reflex to be lost. However eyelid reflex remains present.3. Stage 3 (stage of surgical anesthesia): - From beginning of regular respiration to cessation of spontaneous breathing. Most surgeries are done in this stage. It is divided into 4 planes:-A. Plane 1: - From beginning of regular respiration to cessation of eye movement. There is roving eye ball. Eye lid reflex is lost. This plane ends when eye ball become fixed. Pupil size is normal.B. Plane 2: - From cessation of eye movement to respiratory Paresis. Eye ball is fixed. There is loss of corneal reflex.Pupil starts dilating ( 1/2 dilated).C. Plane 3: - From respiratory paresis to respiratory paralysis. Pupil 3/4 dilated. Swallowing reflex and laryngeal reflexes are lost.D. Plane 4: - Intercostal paralysis, there is only abdominal respiration. Pupil is fully dilated. Carinal reflex (Cough reflex) is lost - Last reflex to be lost.* Lacrimation is present in plane II & III and absent in Plane III, IV.4. Stage 4 (stage of medullary paralysis): - There is respiratory arrest and apnea. Pupil is fully dilated 8c fixed.